A pathologist examines a renal biopsy from a 45 year old man with nephrotic syndrome and requested a congo red stain to confirm the nature of an amorphous acidophillic extracellular hyalin substances localized within the mesengial matrix of the glomeruli A positive test confirms the presence of
1. α 1 - antitrypsin
2. Amyloid
3. Copper
4. Glycogen

Correct answer: 2. Amyloid

Explanation: The answer is B. A positive congo red test confirms the presence of amyloid. Apple green birefringence is abserved under polarized light.